40 year old male patient who is case of chronic limb ischaemia is on clopidogrel for the past 1year. He is posted for elective rhinoplasty. What should be done regarding the clopidogrel
1. Stop clopidogrel 7days priorly.
2. Continue clopidogrel
3. Stop clopidogrel and replace with ticlopidine
4. Give low dose clopidogrel.

Correct answer: 1. Stop clopidogrel 7days priorly.

Explanation: Clopidogrel is ideally stopped 7 days prior to the surgery.